The fuel value of fat is:
1. 4
2. 7
3. 9
4. 5

Correct answer: 3. 9